The principle that is the spinal cord dorsal roots are sensory and the ventral roots are motor is known as -
1. Laplace's law
2. Bell-Magendle's law
3. Frank-Starling's law
4. Weber-Fechner's law

Correct answer: 2. Bell-Magendle's law

Explanation: (B) (Bell Magendie law's) (157 - Ganang 23rd)* Bell Magandie law - In the spinal cord dorsal roots are sensory and ventral roots are motors (DS - VM)* Weber Fachner law - Magnitude of sensation felt in proportionate to the log of intensity of the stimulus**.* Law of pro jection states than no matter where a particular sensory pathway is stimulated along its course to the cortex. The conscious sensation produced is referred to the location of the receptor (eg. Phantom limb).* Within physiological limits, the force of contraction of the ventricular muscle fibers is directly proportional to its initial length i.e. larger the initial length of the cardiac muscle fibers, greater will be the force of contraction of the ventricles. This is known as the Frank Starling Law of the heart.* All or none relationship between the stimulus and the response is called. All or none law, applies to the whole of the functional syncytium in the heart, the unit bring the entire atria or entire ventricle.Points to remember* Arterioles - Resistance vessel, capillaries - exchange vessels, veins - capacitance vessels, main arteries conduct (muscular) arteries.* Windkessel effect is seen in - large elastic vessels- Major reservoir of blood is veins- Highest compliance is seen in veinsa) Neurons of first order - Axon of bipolar cells (in Retina)b) Neurons of second order - Axons of ganglionic cell (Retina i.e. optic disc) optic nerve** (optic chiasma, optic tract).c) Neurons of third order : Axons from nerve cells in lateral geniculate body (optic radiation)* Dorsal root ganglia have - Pseudounipolar.* Neurons in sympathetic ganglia are - Multipolar